The histopathology of osteopetrosis shows:
1. EndosteaL bone formation and lack of normal bone resorption
2. Periosteal bone formation and lack of normal bone resorption
3. Presence of extra collagen fibres and Less calcification resulting in resistance of bones to fracture
4. Presence of numerous osteoclasts and a few osteoclasts

Correct answer: 1. EndosteaL bone formation and lack of normal bone resorption